diagnostic peritoneal lavage is confirmed positive by which of the following parameters ?
1. >1 lakh rbc
2. >500 wbc/ml
3. increased amylase
4. all the above

Correct answer: 4. all the above

Explanation: DIAGNOSTIC PERITONEAL LAVAGE IS POSITIVE : A- > 1LAKH RBC/ML B-> 500 WBC/ML C- ANY PUS OR FRANK BLOOD >10 ML INCREASED BILIRUBIN INCREASED AMYLASE REF : BAILEY AND LOVE 27TH ED